Which of the following is not a side effect of phenytoin ?
1. Hypoglycemia
2. Osteomalacia
3. Gum hypertrophy
4. Lymphadenopathy

Correct answer: 1. Hypoglycemia